Signs of graft rejection are all except
1. Krachmer spots
2. Khodadoust line
3. Oedema
4. Foster spot

Correct answer: 4. Foster spot

Explanation: D i.e. Foster spot Foster-Fuchs spot, lacquer cracksQ, temporal crescent, lattice degeneration and peripapillary, macular & diffuse chorioretinal atrophy are seen in myopic chorioretinal degeneration.